Which of these cases is most likely to develop transient tachypnea of newborn:
1. Term baby born by spontaneous vaginal delivery
2. Term baby born by forceps delivery
3. Term baby born by cesarean section
4. None of these

Correct answer: 3. Term baby born by cesarean section

Explanation: Ans. C. Term baby born by cesarean sectionTransient tachypnea of newborn (TTNB) is primarily due to slow resorption of fluid from the fetal lungs. It is also called as wet lung syndrome or RDS type II. Newborns at higher risk for development of TTNB include those who are delivered by cesarean section.